Oxidation pond is used in---------treatment –
1. Sewage
2. Effluent
3. Night soil
4. Sullage

Correct answer: 1. Sewage